What percentage of the blood flow to the liver is supplied by the hepatic artery -
1. 90%
2. 20%
3. 40%
4. 60%

Correct answer: 2. 20%

Explanation: • Weight: 1800 gm in men and 1400 gm in women
• Total blood flow: 1.5 L/min
• Free pressure in a hepatic vein: 1-2 mm Hg
• Liver can store up to maximum of 65 gm of glycogen/kg of liver tissue.
• Account for 4% of body weight, consumes about 28% of total body blood flow and 20% of the total oxygen consumed by the body.
• Expends 20% of the total kilocalories used by the whole body.